'Burning Sole Syndrome' is seen in deficiency of
1. Riboflavin
2. Pyridoxine
3. Pantothenic acid
4. Vitamin B12

Correct answer: 3. Pantothenic acid

Explanation: Pantothenic acid deficiency was thought to be cause of 'Burning Feet/Sole syndrome' among prisoners of World War II Pantothenic acid is required by adrenal cortex Ref: Harrison's 19th edition Pgno : 465